Mercury poison acts on:
1. Proximal convoluted tubule
2. Distal convoluted tubule
3. Loop of Henle
4. Collecting ducts

Correct answer: 1. Proximal convoluted tubule

Explanation: A i.e. Proximal convoluted tubule